In a patient with Erb's palsy, all of the folowing movements are lost except:
1. Supination
2. External rotation at shoulder
3. Abduction at shoulder
4. Pronation

Correct answer: 4. Pronation

Explanation: Deformity and Loss of Movements 'FABER'S Lost in Erb's Policeman/Waiter/Porter's tip hand Arm: adducted and medially rotated Forearm: extended and pronated Arm hangs limply by the side Lost movements--All movements opposite to the deformity Actions that would be lost: Loss of abduction and lateral rotation of arm Loss of flexion and supination of forearm.